Fever is produced by ?
1. PGF2a
2. PGE2
3. PGI2
4. PGD2

Correct answer: 2. PGE2

Explanation: Ans. is 'b' i.e., PGE2Fever is elevated body temperature due to resetting of hypothalamic thermostat above the normal level.IL-1 (most potent), TNF-a and IL-6 are pyrogens (fever producing cytokines).But they do not act directly.They stimulate the release of PGE2, which resets the hypothalamic thermostat at higher level.Thus, PGE2 is the final effector in production of fever.